Bysinnosis is caused by:
1. Bagasse
2. Mold hay
3. Cotton
4. Bird droppings

Correct answer: 3. Cotton

Explanation: Ans. C: Cotton